Commonest ovarian tumour below 20 year of age is -
1. Epithelial cell tumour
2. Sertoli call tumour
3. Leydig cell tumour
4. Germ cell tumour

Correct answer: 4. Germ cell tumour

Explanation: Ans. is 'd' Germ cell tumour" (Ref : Shaws, 13/e, p 359 (12/e, p 575)).Most common ovarian tumour in young woman is - germ cell tumour*common ovarian tumour (overall) - epithelial cell tumour*.Commonest cystic ovarian neoplasm - serous cystadenoma*.Ovarian tumour causing pseudomyxoma peritonei - Mucinous tumour*Ovarian tumour causing Meigs' syndrome - ovarian fibroma*.Ovarian tumour causing pseudo Meigs' syndrome - Brenner tumour*.